Which of the following statement is not true regarding chlamydia trachomatis?
1. Elementary body is metabolically active
2. It is biphasic
3. Reticulocyte body divides by binary fission
4. Inside the cell it evades phagolysome

Correct answer: 1. Elementary body is metabolically active